Milk ring test is done to detect which organism present in milk?
1. Bordetella
2. Brucellosis
3. Bartonella
4. Salmonella

Correct answer: 2. Brucellosis

Explanation: For the detection of Brucella in infected animals, pooled milk samples may be tested for bacilli by culture and for antibodies by several techniques. In milk ring test, a sample of whole milk is mixed well with a drop of stained brucella antigen and incubated in a water bath at 70 degree for 40-50 min. If antibodies are present in the milk, the bacilli are agglutinated and rise with the cream to form blue ring at the top, leaving the milk unstained. If antibodies are absent, no colour ring is formed and the milk remains uniformly blue. Also Know: Bordetella is detected using cough plate method, post nasal swab, the pernasal swab method. Bartonella bacilliformis causes Oroya fever. Bartonella quintana causes trench fever. Bartonella henselae causes cat scratch disease. Salmonella is detected using widal reaction. Ref: Ananthanarayanan & Paniker's microbiology 8th Ed Page 345.